1st evidence of calcification of Maxillary Lateral incisor occurs
1. 10-12 months
2. 16-17 months
3. 17-19 monhts
4. 15 months

Correct answer: 1. 10-12 months